Which of the following types of hepatitis carries the worst prognosis in pregnancy?
1. Hepatitis A
2. Hepatitis B
3. Hepatitis C
4. Hepatiitis E

Correct answer: 4. Hepatiitis E

Explanation: Ans-D i.e., Hepatitis E o Hepatitis E has the highest risk of maternal mortality among all the types of hepatitis.